Behavioral therapy is done in -
1. Schizophrenia
2. Agoraphobia
3. Delirium
4. Neurotic depression

Correct answer: 2. Agoraphobia

Explanation: Ans. is 'b' i.e., Agoraphobia o Most important use of behavioral therapy:- Phobia & OCD.o Other uses are:- Other anxiety disorders (including panic), eating disorders, Autism, ADHD, some personality disorders, sexual dysfunctions, depression.# Behaviour therapy is based on the assumption that all behaviours (normal or abnormal) are learning response. Normal and abnormal behaviours are subject to the laws of learning and the same laws can be used to change them. Behaviour therapty is based on theories of learning and aims at changing the maladaptive behaviour and substituting it with adaptive behaviour. Some common behavioral techniques are:-a) Systemic desensitizaiton:- It is based on the principle of reciprocal inhibition, i.e., if a response is incomaptible with anxiety is made to occur at the same time as an anxiety provoking stimulus then anxiety is reduced by reciprocal inhibition. In this technique first the patient is trained by relaxation technique to decrease anxiety and muscular tension. Then the patient is exposed serially to a predetermined list of anxiety - provoking stimuli graded in a hierarchy from the least to most anxiety provoking stimuli. The patient is advised to signal whenever anxiety occurs. With each signal, patient is asked to relax (as during relaxation technique). After a few trials patient is able to control anxiety. Then the patient moves up to next stimulus level (according to Hierarchy). Thus, gradually the hierarchy climbed till the maximum anxiety provoking stimulus can be faced in the absence of anxiety. Systemic desensitization are used in phobia and OCD.b) Therapeutic-graded exposure:- Therapeutic-graded exposure is similar to systemic desensitization, except that relaxation training is not involved and treatment is usually carried out in a real-life context. This means that the individual must be brought in contact with (i.e., be exposed to) the warning stimulus to learn firsthand that no dangerous consequences will ensue. Exposure is graded according to a hierarchy. For example, Patient afraid of cats might progress from looking at a picture of cat to holding one.c) Exposure & response prevention:- Patient is exposed to a situation (intentional contamination of hand) which ordinarily produces in him a strong urge to carry out rituals (for example hand washing). However, he is prevented from carrying out rituals (e.g., by shutting of water). The anxiety which mounts up dissipates after sometime. It is particularly useful for OCD and some types of phobias.d) Flooding:- This is based on the assumption that fear dissipates when the subject is not allowed to escape from the scene. The subject is exposed to the fear provoking situations abruptly and not in a graded way as in systemic desensitization and without any attempt to reduce anxiety. The sessions continue till fear dissipates.e) Aversion therapy:- Aversion therapy is used for the treatment of conditions which are pleasant but undesirable (e.g., alcoholism, sexual deviation, drug abuse, smoking). The underlying principle is the pairing of the pleasant stimulus (e.g., alcohol) with an unpleasant response (e.g., brief electric stimulus).f) Operant conditioning procedure for decreasing a behavior:-i) Positive punishment:- On performing an undesired behavior an aversive stimulus is given.ii) Negative punishment:- On performance of an undesired behavior, reward is avoided.